Which is not a metaphyseal tumor -
1. Osteosarcoma
2. Chondrosarcoma
3. Giant cell tumor
4. Aneurysmal bone cyst

Correct answer: 3. Giant cell tumor

Explanation: Ans. is 'c' i.e., Giant cell tumorEpiphvseal tumorsMetaphyseal lesionsDiaphyseal lesionso Chondroblastomao Giant cell tumor (osteoclastoma)o Clear cell chondrosarcomao Osteogenic sarcomao Unicameral (simple) bone cysto Aneurysmal bone cysto Fibrous cortical defecto Chondrosarcomao Osteochondromao Enchondromao Osteoblastomao Ewing sarcomao Lymphomaso Fibrous dysplasiao Adamantinomao Histiocytosiso Osteoid osteomao Chondromyxoid fibromao Fibrosarcomao Fibrous cortical defecto Non ossifying fibroma